Part of colon w ith no mesentery -
1. Transverse colon
2. Sigmoid colon
3. Ascending colon
4. Rectum

Correct answer: 3. Ascending colon

Explanation: Ans. is 'c' i.e., Ascending colonMesenteries in intestineMesentery properMesentery of small intestine (jejunum and ileum) is fan shaped double layered peritoneal fold which suspends the coils of jejunum and ileum. Mesentery' hasAttached border (root of mesentery)It is 15 cm long and extends from duodenojejunal flexure (on left side of L2) to upper part of right sacroiliac joint. Root of mesenteiy crosses following structures(i) 3rdpart (horizontal part) of duodenum, (ii) abdominal aortat, (iii) IVC, (iv) right ureter, and (v) right psoas major:Free border (intestinal border)It is 6 meters long and is attached to gut forming its visceral peritoneum (serous coat).# Contents of mesentery are(i) Jejunal and ileal branches of superior mensentric vessels; (ii) Autonomic nerve plexuses; (iii) Lymphatics and lymph nodes and (iv) Connective tissue with fat.Transverse mesocolon It connects transverse colon to posterior abdominal wrall and contains middle colic vessels.Mesoappendix It connects the appendix to the ileal mesentery' and contains appendicular vessels.Sigmoid mesocolonIt connects sigmoid colon to posterior pelvic wall and contains sigmoid vessels.Mesorectum : It contains superior rectal vessels (artery' & veins) with their branches, lymphatic vessels and lymph nodes along superior rectal artery', and branches from inferior mesenteric plexus.